Torquing movement in maxillary denture is avoided by?
1. Adhesion
2. Cohesion
3. Surface tension
4. Border seal

Correct answer: 4. Border seal